Which is true about salmonella gastroenteritis?
1. Always associated with blood and mucus in stools
2. Is due to exotoxin
3. Mainly diagnosed by serological testing
4. None

Correct answer: 4. None

Explanation: Ans. is None In salmonella gasteroenteritis:- i) Diarrhea is nonbloody (option a is incorrect). ii) It is due to invasion of bowel mucosa, not toxin mediated (option b is incorrect). iii) It is diagnosed by isolation of organism from stools (option c is incorrect). iv) Fever is one of the commoner symptom (option d is incorrect).